A 50 year old man with advanced tuberculosis has developed signs of severe acute adrenal insufficiency. The patient should be treated immediately with a combination of:
1. Aldosterone and fludrocortisone
2. Triamcinolone and dexamethasone
3. Cortisol and fludrocortisone
4. Dexamethasone and metyrapone

Correct answer: 3. Cortisol and fludrocortisone

Explanation: Patient should be given both mineralocorticoids as well as glucocorticoid. - Aldosterone and Fludrocortisone both are mineralocorticoids. -Highest mineralocorticoid activity is seen with Aldosterone - Triamcinolone and Dexamethasone both are glucocorticoids. - Cortisol is glucocorticoid and Fludrocortisone is a mineralocorticoid. - Dexamethasone is a glucocorticoid whereas Metyrapone is anti-glucocoiocid.